In an incised wound, all of the following are true, except:
1. It has clean-cut margins
2. Bleeding is generally less than in lacerations
3. Tailing is often present
4. Length of injury does not correspond with length of blade

Correct answer: 2. Bleeding is generally less than in lacerations

Explanation: Incised wound/ cut/ slash/ slice Margins clean cut & regular Blood vessels are clean cut, profuse bleeding present. Gaping is present & eversion of margins Tailing is present, suggesting the direction. Bevellingis seen if the blade cuts obliquely. POINTS TO REMEMBER :- CHARACTERS LACERATION INCISED WOUND Margins Irregular, edges contused Clean cut, regular Tissue bridges Present Absent Tailing Absent Present Bleeding Less (due to crushing of vessels) More (due to cutting of vessels)